Subgingival calculus
1. cannot occur without supragingival calculus
2. contains less hydroxyapatite than supragingival calculus
3. is uncommon in children
4. derives its minerals from same source as supragingival calculus

Correct answer: 3. is uncommon in children